'Marchiafava-Bignami' syndrome is
1. Also called hospital addiction
2. Related to alcoholism
3. Congenital
4. Related to opium withdrawal

Correct answer: 2. Related to alcoholism

Explanation: It is a complication of alcoholism Marchiafava-Bignami disease is a progressive neurological disease characterized by corpus Callosum demyelination and necrosis and subsequent atrophy. Ref - Harrison 20th edition pg3112